Eruption of Deciduous Mandibular Central incisor occur at
1. 8-9 months
2. 6-7 months
3. 19-20 months
4. 15-16 months

Correct answer: 2. 6-7 months